Below syndrome are associated with overweight conditions in children. For the clinical findings that follow, select the syndrome with which it is most likely to be associated. A 14-year-old boy with hypogonadism and night blindness with retinitis pigmentosa
1. Prader-Willi syndrome
2. Laurence-Moon-Biedl syndrome
3. Cushing syndrome
4. Frohlich syndrome

Correct answer: 2. Laurence-Moon-Biedl syndrome

Explanation: Laurence-Moon-Biedl (Bardet-Biedl) syndrome is transmitted as an autosomal recessive trait. Obesity, intellectual disability, hypogonadism, polydactyly, and retinitis pigmentosa with night blindness are the principal findings in affected children. There is no known effective treatment.